There is a population of 20000 people will mean hemoglobin being 13.5 gm% having a normal distribution. What proportion of population constitutes proportion more than 13-5 gm% ?
1. 0-25
2. 0.5
3. 1
4. 0-34

Correct answer: 2. 0.5

Explanation: Ans. is 'b' i.e., 0.50 o In a normal distribution, 50% of values lie above mean (or Median or Mode).